Oxidation pond is used in treatment ?
1. Sewage
2. Effluent
3. Night soil
4. Sullage

Correct answer: 1. Sewage

Explanation: Ans. is 'a' i.e.. Sew age